Quality indicators of RCH programme – a) Number of high risk women referredb) Number of children immunizedc) Number of women died.d) Number of new born with birth weight recorded.e) Number of neonatal deaths
1. abd
2. bcd
3. abc
4. ab

Correct answer: 1. abd